D2 receptors are maximally seen in:-
1. Frontal lobe
2. Nucleus accumbens
3. Cerebellum
4. Corpus striatum

Correct answer: 4. Corpus striatum

Explanation: The important pathways in the brain that release dopamine as transmitter: Nigrostriatal pathway in basal ganglia - The fibers convey from substantia nigra of the midbrain to the corpus striatum in basal ganglia. It is an important pathway in the control of voluntary movements. Mesolimbic system - From the midbrain to the limbic system. The pathway is important in the control of emotions and emotion-related movements.